Best treatment of severe' digitalis toxicity is:
1. Potassium supplements
2. Diphenyl hydantoin
3. Quinidine
4. Fab fragments of digitalis antibodies

Correct answer: 4. Fab fragments of digitalis antibodies